Anesthetic agent with vasoconstrictor is contraindicated in:
1. Spinal block
2. Regional block
3. Epidural block
4. Finger block

Correct answer: 4. Finger block

Explanation: Ans. (d) Finger blockRef: Morgan,clinical anesthesiology 4/e / 34* Vasoconstrictor should not be added for ring block of hand, finger, toes, penis, pinna as all these organs are supplied by end arteries and ischemic damage may occur* Adrenaline is most commonly used vasoconstrictor.* Felypressin is preferred in cardiovascular disease patient.